Structure passing deep to flexor retinaculum is
1. Post tibial artery
2. Long saphenous vein
3. Tibialis anterior tendon
4. Peroneus tertius

Correct answer: 1. Post tibial artery

Explanation: The flexor retinaculum is a thickened band of deep fascia on the posteromedial aspect of ankle. The deep relations of flexor retinaculum from above downwards or medio laterally are tibialis posterior, flexor digitorum longus , posterior tibial artery , tibial nerve ,flexor hallucis longus. Reference: clinical anatomy for students a problem-solving approach, Neeta v Kulkarni, page no. 865